Kveim test is used for diagnosis of?
1. Sarcoidosis
2. Sicca syndrome
3. Scleroderma
4. C.R.E.S.T syndrome

Correct answer: 1. Sarcoidosis

Explanation: The Kveim-Siltzbach test is a skin test used to detect sarcoidosis, where part of a spleen from a patient with known sarcoidosis is injected into the skin of a patient suspected to have the disease. If non caseating granulomas are found (4-6 weeks later), the test is positive.